Paucity of pus is seen in
1. Quinsy
2. Ludwig's angina
3. Carbuncle
4. Milroy disease

Correct answer: 2. Ludwig's angina